Viroids are ?
1. ssRNA
2. DNA from matric proteins
3. Naked pathogenic human viruses
4. Fragments of viruses

Correct answer: 1. ssRNA

Explanation: Genome much smaller than those of known virus. Agent is a protien free low molecular wt RNA REF:ANANTHANARYANAN TEXT BOOK OF MICROBIOLOGY 9EDITION PDNO.442